Which of the following inhalational agent is the most soluble in blood?
1. Halothane
2. Isoflurane
3. Enflurane
4. Desflurane

Correct answer: 1. Halothane

Explanation: Blood/gas partition coefficient:· The ratio of concentration in blood to that in gas. High value denotes an agent very soluble in blood. Inhalational agent coefficient Halothane Isoflurane Enflurane Desflurane Sevoflurane
Most soluble in blood is halothane.
Least soluble in blood is desflurane.